The following are recognized infectious causes of eosinophilia EXCEPT-
1. Malaria
2. Ascaris lumbricoides
3. Filariasis
4. Strogyloidiasis

Correct answer: 1. Malaria

Explanation: Eosinophils are important in the immune response to parasitic infections. Parasite infections that cause eosinophilia are Strongyloidiasis, soil transmitted helminthiasis(hookworm,ascariasis,toxocariasis) ,scistosomiasis,filariases, cestode infection(Taenia saginata, T.solium), liver flukes,lung fluke. Reference Harrison20th edition pg 1136